Phase 4 clinical trial is done as
1. To find safety and toxicity
2. To compare with existing drugs
3. Pre marketing surveillance
4. Post marketing surveillance

Correct answer: 4. Post marketing surveillance

Explanation: The phases of clinical research are the steps in which scientists do experiments with a health intervention in an attempt to find enough evidence for a process that would be useful as a medical treatment.